True about metastatic calcification
1. Serum ca level is normal
2. Occurs in dead/dying tissue
3. Occurs in damaged heart valves
4. Calcification starts in mitochondria

Correct answer: 4. Calcification starts in mitochondria

Explanation: Metastatic calcification is associated with hypercalcemia and occur in normal tissues and starts in the mitochondria. Metastatic Calcification Metastatic calcification can occur in normal tissues when- ever there is hypercalcemia. The major causes of hypercal- cemia are (1) increased secretion of parathyroid hormone, due to either primary parathyroid tumors or production of parathyroid hormone-related protein by other malignant tumors; (2) destruction of bone due to the effects of acceler- ated turnover (e.g., Paget disease), immobilization, or tumors (increased bone catabolism associated with multiple myeloma, leukemia, or diffuse skeletal metastases); (3) vitamin D-related disorders including vitamin D intoxication and sarcoidosis (in which macrophages activate a vitamin D precursor); and (4) renal failure, in which phosphate reten- tion leads to secondary hyperparathyroidism. Ref: Textbook of Pathology HARSH MOHAN 7th Edition page no.36